In CSSM programme drug of choice for Pneumonia:
1. Chloramphenicol
2. Doxycycline
3. Erythromycin
4. Co-trimoxazole

Correct answer: 4. Co-trimoxazole